Increased oxygen delivery during prematurity causes all the following EXCEPT:
1. Vasoconstriction
2. Vasodilation
3. Vaso obliteration
4. Neovascularisation

Correct answer: 2. Vasodilation

Explanation: Ans. (b) VasodilationRef.:: Nelson's 18th edCh: 97.2 style="font-size: 1.04761904761905em; font-family: Times New Roman, Times, serif">. gov/pubmed/12030843Supplemental oxygen in premature infants leads to the development of bronchopulmonary dysplasia.The Pathogenesis Involves* Vasoconstriction in the retina is an early response to oxygen that can lead to Vaso-obliteration.* Neovascularization* FibrosisOxygen causes tissue injury through the formation of reactive oxygen intermediates and peroxidation of membrane lipids.